Which of the following drug produces a subjective feeling of well-being on emergence and thus can have substance abuse potential
1. Thiopentone
2. Propofol
3. Etomidate
4. Ketamine

Correct answer: 2. Propofol

Explanation: Propofol has effect on limbic system gives a feeling of well being. Propofol is an intravenous induction agent that can be addictive because of its hypnotic property and development of tolerence on prolonged use. The abuse potential is common among health care workers with reports of self-administration. Note: Ketamine also has the potential for abuse and addiction and is being used as one.